Sputum can be disinfected by
1. Autoclave
2. Boiling
3. Cresol
4. All the above

Correct answer: 4. All the above

Explanation: Sputum can be disinfected by all the above-mentioned methods Ref: Textbook of Microbiology Baveja 5th ed Pg 29